Vecuronium acts on
1. Cerebral cortex
2. Myoneural junction
3. Muscle fibres
4. Spinal cord

Correct answer: 2. Myoneural junction

Explanation: Vecuronium is a non-depolarizing neuromuscular blocking agent.
It acts on the nicotinic receptor at neuromuscular junctions and blocks the depolarization by inhibiting Na+ channels.